First radiological sign of Crohn's disease in terminal ileum is:
1. Aphthoid ulceration
2. Pseudo sacculation
3. Cobblestone pattern
4. Thickening of bowel wall

Correct answer: 1. Aphthoid ulceration

Explanation: Ans. Aphthoid ulceration